Cholinomimetics are useful in all the following conditions except
1. Glaucoma
2. Myasthenia gravis
3. Post operative atony of bladder
4. Partial heart block

Correct answer: 4. Partial heart block

Explanation: Refer kDT 7/e p108 Cholinergic drugs decreases the conduction from atrium to ventricle,thus they should be avoided in heart block Cholinergic drugs like pilocarpine and physostigmine are used in angle closure glaucoma. Neostigmine(Acetylcholinesterase inhibitor,a cholinergic drug)is used for treatment of Myasthenia Gravis Neostigmine is also used for post operative paralytic ileus and post operative urinary retention